A 15-year-old male presents with hematuria. he has previous diagnoses of deafness and corneal dystrophy. Urinalysis shows 1 + proteins, no ketones, no glucose, 1+ blood, and no leukocytes. A renal biopsy reveals tubular epithelial foam cells by light microscopy. By electron microscopy, the glomerular basement membrane shows areas of attenuation, with splitting and lamination of lamina dense in other thickened areas. The most probable diagnosis is-
1. Acute tubular necrosis
2. Berger disease
3. Membranous glomerulonephritis
4. Alport syndrome

Correct answer: 4. Alport syndrome

Explanation: Alport syndrome: Electron Microscopy is diagnostic and shows "basket weave appearance" of the GBM. Alport syndrome: Hereditary nephritis Abnormal a3 (COL4A3), a4 (COL4A4), or a5 (COL4A5) chain of type IV collagen Hematuria with progression to chronic renal failure Nerve deafness Eye disorders Foamy cells in the interstitium. Ref: RAM DAS NAYAK EXAM PREPARATORY MANUAL FOR UNDERGRADUATES 2nd ed. pg no: 612